Loosening of association is an example of:
1. Formal thought disorder
2. Schneider's first symptoms
3. Perseveration
4. Concrete thinking

Correct answer: 1. Formal thought disorder

Explanation: A. i.e. Formal thought disorder